A year old child presents with bilateral hearing difficulty. Impedance audiometry shows type B Curve. There is bilateral conductive hearing deficit. There is no sign of infection. Next step is ?
1. Wait and watch
2. Grommet
3. Myringotomy and aspiration
4. Canal wall down procedure

Correct answer: 1. Wait and watch

Explanation: Ans. is'a'i.e., wait and watch [Ref: Dhingra 5th/e p. 72; ENT in primary care p/e p. 611The diagnosis is of serous otitis media.It is the most common cause of hearing loss in school children.Unless there is a sign of an infection, most health care providers will not treat SoM at first. rnstead, they will recheck the problem in 2-3 months.